Wrong about Dhatura seed is?
1. Small numerous depressions
2. Kidney shaped
3. Bitter
4. Pale yellow

Correct answer: 4. Pale yellow

Explanation: Ans. is 'd' i.e., Pale yellow TraitDatura seedsCapsicum seeds1)Size:Large and thickSmall and thin2)Shape:Kidney-shapedRounded3)Colour:Dark or yellowish-brownPale-yellow4)Margins:Laterally compressed and double-edged at the convex borderThe convex border is simple and sharp5)Surface:Numerous small depressionsSmooth6)Smell:OdouriesPungent7)Taste:BitterPungent8)Embryo:On longitudinal section embryo is curved outward at the hilumEmbryo is curved inwards